Griffith demonstrated transformation with -
1. H. influenzae
2. E. coli
3. Proteus
4. Pneumococcus

Correct answer: 4. Pneumococcus

Explanation: Griffith in 1928 found that mice died when injected with a mixture of live non-capsulated (R) pneumococci and heat killed capsulated (S) pneumococci, neither of which separately proved fatal. REF:Ananthanarayan and Panicker's Textbook ofMicrobiology 8thEdition pg no:63